Leydig cells secrete-
1. Inhibin
2. MIS
3. Testosterone
4. Androgen binding protein

Correct answer: 3. Testosterone

Explanation: Ans. is 'c' i.e., Testosterone Thyroido Thyroxine (T4) & Triiodothyronine (T3) by follicular cells,o Calcitonin by parafollicular cells.Parathyroido Parathormone (PTH)Pancreaso Insulin & amylin by b-cells (B - cells),o Glucagon by a-cells (A - cells),o Somatostatin by d-cells (D - cells),o pancreatic polypeptide by F - cells.Gonadso Testis* Androgens (testosterone & others) by Leydig cells.* ABP, inhibin activin and MIS by sertoli cells,o Ovary* Estrogen by granulosa cells.* Progesterone by theca cells.* Inhibin is secreted by granulosa cells and corpus luteum.* Activin is secreted by granulosa cells.* Relaxin is secreted by granulosa cells.Hypothalamuso Oxytocin by paraventricular nucleus,o ADH by supraoptic nucleus.o GHRH, CRH, TRH, GnRH and prolactin inhibiting hormone.